Most common cause of acute otitis media in children is:
1. Strep pneumoniae
2. Strep pyogenes
3. Staph aureus
4. Pseudomonas

Correct answer: 1. Strep pneumoniae

Explanation: 3 pathogens predominate in Acute Otitis Media: Strepto pneumoniae, H. influenzae & Moraxella catarrhalis.